Ligamentum teres hepatis is developed from -
1. Umbilical arteries
2. Left umbilical vein
3. Ductus-venosus
4. Ductus arteriosus

Correct answer: 2. Left umbilical vein

Explanation: Ans. is 'b' i.e., Left umbilical vein o The ligament teres represents the obliterated left umbilical vein.o Repeat from previous sessions.